Crimp marks on the radiograph are due to:
1. Droplets of fixing solution
2. Droplets of developer
3. Excess application of pressure
4. None of the above

Correct answer: 3. Excess application of pressure